True about prion protein diseases is all, except ?
1. Myoclonus is seen in 10% of the patients
2. Caused by infectious protein
3. Brain biopsy is diagnostic
4. Commonly manifests as dementia

Correct answer: 1. Myoclonus is seen in 10% of the patients

Explanation: Ans. is 'a' i.e., Myoclonus is seen in 10% of patients